Which of the following mood stabilizers has anti- suicide properties?
1. Lithium
2. Carbamazepine
3. Valproate
4. Lamotrigine

Correct answer: 1. Lithium

Explanation: Ans. (A) Lithium(Ref: Harrison 19/e p2718)Both lamotrigine and lithium can reduce the depressive phase of bipolar disorder. However, lithium consistently shows the decreased risk of suicides whereas lamotrigine is found to be effective in some studies and not in others.Other antiepileptic drugs may actually increase the risk of depressive episodes.